All are true about hypertrophic obstructive cardiomyopathy, except
1. Beta agonists are used
2. Asymmetrical hypertrophy of septum
3. Sudden death may occur
4. Condition improves on passive leg raising

Correct answer: 1. Beta agonists are used

Explanation: Ref Harrison 19 th ed pg 1569 HYPERTROPHIC CARDIOMYOPATHY Management focuses on treatment of symptoms and prevention of sudden death and stroke . Left ventricular outflow tract obstruction can be controlled medically in the majority of patients. b-Adrenergic blocking agents and L-type calcium channel block- ers (e.g., verapamil) are first-line agents that reduce the severity of obstruction by slowing heart rate, enhancing diastolic filling, and decreasing contractility